Which of the following about sensory fibers is not true -
1. Ia - Alpha
2. II - A beta
3. III - A gamma
4. IV - C

Correct answer: 3. III - A gamma

Explanation: Ans. is 'c' i.e., III - A gammaRelationship of numerical classification of sensory nerve (Lloyd & Hunt classificationwith Erlanger & Gasser Classification)Fiber type(Erlanger & Gasser)Number(Lloyd & Hunt)OriginAaIaMuscle spindle (annulospiral ending)AaIbGolgi tendon organAbIIMuscle spindle (flower-spray ending), touch, pressure, kinesthesiaAdIIIPain, temperature, touch, PressureCIVPain, temperature